Which laryngeal cartilage is not elastic -
1. Epiglottis
2. Corniculate
3. Cuneiform
4. Thyroid

Correct answer: 4. Thyroid